Organism associated with fish consumption that also cause carcinoma gallbladder:
1. Clonorchis sinensis
2. Gnathostoma
3. Strongyloides cantonensis
4. H. dimunata

Correct answer: 1. Clonorchis sinensis

Explanation: Ans. a. Clonorchis sinensis (Ref: Harrison 19/e p1428, 18/e p2008, 17/e p1330; http/www.ncbi.nlm.nih.gov/pubmed/12483392; www.ncbi.nlm.gov/pubmed/3993073)Clonorchis sinensisClonorchis sinensis is a liver fluke, acquired by ingestion of raw or inadequately cooked freshwater fishes.In human body, it lives within bile ducts and causes inflammatory reaction leading to cholangiohepatitis and biliary obstructionQ.It is a well known risk factor for cholangiocarcinoma.It is a rare, but mentioned risk factor for carcinoma gall bladderQ.